Most common complication of Sinusitis is
1. Orbital cellulitis
2. Meningitis
3. Brain abscess
4. Septicemia

Correct answer: 1. Orbital cellulitis

Explanation: Orbital cellulitis is an infection of the soft tissues of the orbit posterior to the orbital septum. Orbital cellulitis is caused most commonly in all age groups by ethmoid sinusitis. The organisms gain access to the orbit through thin bones of the orbital walls, venous channels, foramina, and dehiscence. Orbital cellulitis resulting from infection of the maxillary sinus secondary to dental infections can be caused by microorganisms indigenous to the mouth.